TRUE about sepsis related acute kidney injury is:
1. AKI seen in 20% cases of severe sepsis
2. Overt hypotension is the cause of decreased GFR
3. Tubular injury is manifested by tubular debris and casts in urine
4. Generalised arterial vasoconstriction is present

Correct answer: 3. Tubular injury is manifested by tubular debris and casts in urine

Explanation: AKI complicates more than 50% of cases of severe sepsis. Decreases in GFR with sepsis can occur even in the absence of overt hypotension Tubular injury associated with AKI in sepsis as manifest by the presence of tubular debris and casts in the urine. The hemodynamic effects of sepsis--arising from generalized arterial vasodilation, mediated in part by cytokines that upregulate the expression of inducible NO synthase in the vasculature can lead to a reduction in GFR. Ref: Harrison-E-18, P-2294.